"Blow out" Fracture of orbit involve-
1. Floor
2. Medial wall
3. Lateral wall
4. Roof

Correct answer: 1. Floor

Explanation: * "The Most common site for a blowout fracture to occur is the posteromedial aspect of the orbital floor, medial to the Infraorbital neurovascular bundle where the maxillary bone is very thin". Ref:Clinical ophthalmology 5th/e p.1129